A broad flat pelvis is characteristic of :
1. Gynaecoid type
2. Android type
3. Anthropoid type
4. Platypelloid type

Correct answer: 4. Platypelloid type

Explanation: Platypelloid type